Hepatitis bone marrow failure is caused by which type
1. Hepatitis A
2. Hepatitis B
3. Hepatitis C
4. Non-A, Non-B, Non-C Type

Correct answer: 4. Non-A, Non-B, Non-C Type